Cyclic GMP act on
1. Thyroxine
2. Insulin
3. Growth hormone
4. Atrial natriuretic peptide

Correct answer: 4. Atrial natriuretic peptide

Explanation: Cyclic GMP is the secondary messager for ANP, nitric oxide Secondary messager is required for peptide hormones Ref:Guyton and Hall textbook of medical physiology 12th edition ,pag number:540,541,542